16 yr unmarried girl came for vaccination against cervical cancer. Which vaccine to he given:
1. Gardasil
2. Rabivac
3. Biovac
4. Tvac

Correct answer: 1. Gardasil

Explanation: Ans. (A) Gardasil(Ref: Shaw's Textbook of Gynecology 16th Ed; Page No 495)Gardasil is the vaccine of choice in this situation.Other options:Biovac: It is freeze-dried live attenuated vaccine indicated for the prevention of Hepatitis A in persons of age 1 year or older.Rabivac: It is monovalent inactivated rabies vaccine for cats and dogs.Tvac: It is tetanus vaccine.HPV vaccinesHPV vaccines have been developed from the inactivated capsid coat of the virus.HPV vaccines were earlier of two types. During its Feb 2015, meeting Advisory Committee on Immunization Practises (ACIP) recommended 9-valent HPV vaccine (9V HVP) as one of the three vaccines for preventive HPV.CharacteristicBivalent (2V HPV)Quadrivalent (4V HPV)9 Valent (9VHPV)Brand nameCervarixGardasilGardasil-9HPV subtypes16,186,11,16,186, 11, 16, 18, 31, 33, 45, 52, 58Protects againstCIN, Ca cervixAnogenital warts, CIN, Ca cervixAnogenital warts CIN, Ca cervix, vulva intraepithelial neoplasia, vaginal intraepithelial neoplasiaManufacturingTrichoplusia insect line infected with L1 encoding baculovirusSaccharomyces cerevisiae expressing L1Saccharomyces cerevisiaeexpressing L1Adjuvant500 mcg aluminum hydroxide with monophosphoryl lipid A225 mcg Al(OH)PO4 SO4 500 meg Al(OH)PO4 SO4 Dose0.5 mL0.5 mL0.5 mLAdministration1/m1/m1/mAdministered to males or femalesOnly femalesBoth males and femalesBoth males and femalesAge in females Ideal age range11-12 years9-26 years11-12 years9-26 years11-12 years9-26 yearsAge in males Ideal age range---11-12 years9-26 years11-12 years9-15 years--FDA approved9-26 years--ACIP recommendation